An obese lady aged 45 years, was brought to emergency in a semi comatose condition. The laboratory investigations showed K+ (5.8 nunol/L); Na+ (136 mmol/L); blood pH (7.1), HC03 (12 mmol/ L),&; ketone bodies (350 mg/dl). The expected level of blood glucose for this lady is -
1. < 45 mg\/dl
2. < 120 mg\/dl
3. >l 80 mg\/dl
4. < 75 mg\/dl

Correct answer: 3. >l 80 mg\/dl

Explanation: The key findings of ketonemia and acidosis along with the diagnosis of diabetic ketoacidosis Ref: harrison